An endocrinologist decided to give a 7 year old boy testosterone therapy and continued it till puberty. This therapy is likely to:
1. Increase adult stature
2. Reduce adult stature
3. Have no effect on adult stature
4. Cause hypertrophy of penis

Correct answer: 2. Reduce adult stature